A patient presented with sudden onset of floater & perception of falling of a curtain {veil} in front of the eye which one of the following is the most appropriate diagnosis-
1. Retinal detachment
2. Eale's disease
3. Vitreous hemorrhage
4. Glaucoma

Correct answer: 1. Retinal detachment

Explanation: These are prodromal symptoms of retinal detachment . Prodromal symptoms include: Dark spots (floaters) in front of the eye (due to rapid vitreous degeneration), and Photopsia, i.e., sensation of flashes of light (due to irritation of retina by vitreous movements). Ref AK khurana 6/e 299